Analysis of routine measurement is aimed at detecting changes in environment -
1. Monitoring
2. Surveillence
3. Isolation
4. None

Correct answer: 1. Monitoring

Explanation: Ans. is 'a' i.e., Monitoring Monitoringo Monitoring is the performance and analysis ofroutine measurements aimed at detecting changes in the environment or health status ofpopulation, e.g. monitoring of air pollution, wrater quality, and growth & nutritional status.Surveillanceo Surveillance is the continuous scrutiny of the factors that determine the occurrence and distribution of disease and other conditions of ill health.o In simple words "surveillance is systemic ongoing collection, collation and analysis of data and the timely dissemination of information to those who need to know so that action can be taken".o According to above definition, monitoring becomes one specific and essential part of the broader concept embraced by surveillance.MONITORINGSURVEILLANCEPerformance and analysis of routine measurements aimed at detecting changes in environment or health status of a populationContinuous scrutiny of the factors that determine the occurrence and distribution of disease and other conditions of ill-healthOne Time linear activity'Continuous CycleNo feedback presentFeedback presentNo inbuilt action component presentInbuilt action component presentStops once disease is eliminated;eradicatedContinues even after disease is eliminated/eradicatedSmaller conceptBroader concept